The primary function of Toll-like Receptors is?
1. Activation of Immune System
2. Vasodilation
3. Regulation of Calcium channel
4. Second Messenger

Correct answer: 1. Activation of Immune System

Explanation: In the late 1990s and early 2000s, researchers identified mammalian analogs of the Drosophila Toll receptor, cloned the mammalian Toll-like receptor 4 (TLR4), identified TLR4 as the receptor for lipopolysaccharide (LPS) and the membrane transducer for LPS signaling in mononuclear phagocytes and other cells, and identified other TLRs as receptors for other microbial components.
CD 14 binds bacterial LPS (endotoxin) and, as a component of a multimolecular complex, plays an important role in LPS-induced activation, inflammatory response, and innate immunity. LPS is captured by a serum LPS-binding protein and is transported to CD14, which binds the complex. CD14, however, cannot trigger activation because it lacks an intracellular region. This function is mediated by one of a group of molecules known as Toll-like receptors (TLR), as they are structurally homologous to the Toll receptors of the fruit fly Drosophila melanogaster.